Soda lime circuit is NOT used in anaesthesia with the following agent:
1. Enflurane
2. Isoflurane
3. Trichloroethylene
4. Methoxyflurane

Correct answer: 3. Trichloroethylene

Explanation: Trichloroethylene should not be used in the closed circuit as it reacts with soda-lime to produce a toxic gas (phosgene). It should not be used with adrenaline infiltration lest dysrhythmia be converted to ventricular fibrillation. Cardiac dysrhythmia or tachypnea may occur during administration. Ref: Anaesthesia and Resuscitation By Divekar, 2nd edition, Page 26.